All of the following are branches of splenic artery, except:
1. Hilar branches
2. Short Gastric Artery
3. Arteria Pancreatica Magna
4. Right Gastroepiploic Artery

Correct answer: 4. Right Gastroepiploic Artery

Explanation: Right Gastroepiploic Artery is a branch of superior mesentric artery, a branch of hepatic artery. The left Gastroepiploic Artery is a branch of splenic artery which anastomoses with the right Gastroepiploic Artery. Ref: Clinical Anatomy for Medical Students By Richard S Snell, 6th Edition, Pages 205, 219